Most friable vegetation is seen in:
1. Infective endocarditis
2. Libman Sacks endocarditis
3. Rheumatic heart disease
4. Rheumatoid heart disease

Correct answer: 1. Infective endocarditis

Explanation: The hallmark of infective endocarditis is the presence of friable, bulky and potentially destructive vegetations containing fibrin, inflammatory cells and bacteria or other organisms on the heart valves.